Which of the following is associated with obsessive compulsive dissorder?
1. Mania
2. Depression
3. Delusion
4. Schizophrenia

Correct answer: 2. Depression

Explanation: At least 1/2 of the people with OCD later develop sever depressive episode. They are considered as a seperate condition.